Unnatural sexual offences deals under
1. Sec 375 IPC
2. Sec 376 IPC
3. Sec 377 IPC
4. Sec 379 IPC

Correct answer: 3. Sec 377 IPC

Explanation: Sec 377 IPC deals with unnatural sexual offences Whoever voluntarily has carnal knowledge against the order of nature with any man, woman, or animal shall be punished with imprisonment for life or either description for a term which may extend to ten years and shall also be liable for fine. Ref: FORENSIC MEDICINE AND TOXICOLOGY DR PC IGNATIUS THIRD EDITION PAGE 308